Richest source of Vitamin D is -
1. Milk
2. Egg
3. Green leafy ve getables
4. Fish oil

Correct answer: 4. Fish oil

Explanation: - vitamin D is unique because it is derived both from sunlight and foods. - vitamin D is necessary for the functions of bone, kidney and intestine. - the richest source of vitamin D is cod liver oil (200-750mcg per 100g) and other fish oils. Reference : Park's textbook of preventive and social medicine, 23rd edition, pg no:617